Major estrogen in normal adult women is -
1. Estradiol
2. Estrone
3. Estriol
4. None of the above

Correct answer: 1. Estradiol

Explanation: Ans. is 'a' i.e., Estradiol o Estradiol is the major estrogen secreted by the ovary.